Which of the following is not branch of the basilar artery ?
1. Labrynthine artery
2. Anterior inferior cerebellar artery
3. Pontine artery
4. Posterior communicating artery

Correct answer: 4. Posterior communicating artery

Explanation: Posterior communicating artery is a branch of internal carotid artery. The other branches of basilar artery are: Superior cerebellar artery Posterior cerebral arteries . The branches of cerebral part of internal carotid artery are: Ophthalmic artery Anterior cerebral artery Middle cerebral artery Posterior communicating artery Anterior choroidal artery . imageref - Vishram singh 2e pg 174